True about circumvallate placenta is?
1. Fetal plate smaller than basal plate
2. Basal plate smaller than fetal plate
3. Has accessory lobes
4. Is membranous

Correct answer: 1. Fetal plate smaller than basal plate

Explanation: Ans. (a) Fetal plate smaller than basal plateRef: William's obs ch-27 p.578